Mean ± 250 in normal distribution
1. 68%
2. 95%
3. 99%
4. 50%

Correct answer: 2. 95%

Explanation: In normal distribution :

Mean ± 150 lovers 68% values.
Mean ± 250 lovers 95% values.
Mean ± 350 lovers 99% values.